All are true about Membranous conjunctivitis EXCEPT
1. Easy to peel
2. Caused by corynebacterium
3. May lead to cicatrisation
4. May cause corneal ulceration

Correct answer: 1. Easy to peel

Explanation: Easy to peel REF: khurana 4th ed p. 59 Acute membranous conjunctivitis Etiology: C.diptheriae, streptococcus hemolyticus Conjunctival membrane: thick, grey yellow, firmly adherent and bleeds on touch preauricular lymphadenopathy seen Complications: corneal ulcers, cicatrisation, Symblepharon, trichiasis, entropion and conjuctival xerosis.